Most common site for Ca. Large bowel  is
1. Sigmoid
2. Rectum
3. Ascending colon
4. Descending colon

Correct answer: 2. Rectum

Explanation: Rectum is most common location. (if option is not given then retco - sigmoid region).